Longest acting beta blokeris -
1. Nodalol
2. Esmolol
3. Carvedilol
4. Acebnolol

Correct answer: 1. Nodalol

Explanation: Ans. is 'a' i.e., Nodalol o Nodalol is longest acting b-blocker.o Esmolol is shortest acting b-blocker.Remembero Nodalol is longest acting b-blocker:o Esmolol is shortest acting b-blockero Acebutolol possesses all activities i.e., cardioselectivity, partial agonist activity, membrane stabilizing activity and lipid insolubility.o Beta blockers approved for treatment of CHF : Carvedilol (most widely used), metaproloL bisoprolol.o Carvedilol is b1+ b2- a1 adrenoreceptor blocker with a: b blocking property of 1 : 9. It produces peripheral vasodilatation due to a-l blockade as well as calcium channel blockade (direct effect),o Atenolol, sotalol and nodalol are primarily excreted by kidney - should not be given in renal failure,o Sotalol, penbutoloi and pindolol have almost 100% bioavailibility.o Penbutoloi has maximum oral absorption,o Carvedilol has maximum plasma protein binding.o Celiprolol has minimum plasma protein binding.